Xylose absorption test is used to assess:
1. Insulinoma
2. Atypical carcinoid
3. ZES
4. Monosaccharide absorption

Correct answer: 4. Monosaccharide absorption

Explanation: Condition Investigation of choice Insulinoma 72 hour prolonged fasting Atypical carcinoid 5 HTP ( hydroxyl tryptophan) ZES Secretin study Monosaccharide malabsorbtion D xylose absorption test